True about minimal change disease is?
1. Loss of foot process in light microscopy
2. IgA deposits seen
3. Serum complement is often decreased
4. Causes nephrotic syndrome in children

Correct answer: 4. Causes nephrotic syndrome in children

Explanation: ANSWER: (D) Causes nephrotic syndrome in childrenREF: Robbins 8th ed chapter 20, Nelson Pediatrics, 18th Edn Pg 2175, 2176Note: Loss of foot processes are seen on electron microscopy not light microscopy